salivary calculus is most common in which salivary gland?
1. Submandibular
2. Sublingual
3. Parotid
4. Minor salivary glands

Correct answer: 1. Submandibular

Explanation: Salivary calculi Calculi may form in the ducts of the submandibular or parotid glands They are formed by the deposition of calcium phosphate on the organic matrix of mucin or cellular debris About 90% of the stones are seen in the submandibular and 10% in the parotid glands Stones may form in the duct or parenchyma of the gland. Ref: PL Dhingra, Diseases of Ear, Nose & Throat, 7th edition, pg no. 260 - 261